Which of the following is not given in acute severe digitalis toxicity?
1. Potassium
2. Digibind
3. Lignocaine
4. None of these

Correct answer: 1. Potassium

Explanation: Ref-KDT 6/e p499 Hypokalemia precipitates digtals toxicity but in acute severe digtalis toxicity, there Is already hyperkalenia.